DNA topoisomerase 1 autoantibody is specific for?
1. Limited cutaneous systemic sclerosis
2. Mixed connective tissue disease
3. Diffuse scleroderma
4. SLE

Correct answer: 3. Diffuse scleroderma

Explanation: Scl-70 antibodies are associated with more severe scleroderma disease. Anti-topoisomerase antibodies can be classified according to their immunoglobulin class (IgM, IgG or IgA). IgG-ATA is found most frequently in scleroderma, with IgA being quite common but IgM very infrequent. Ref Robbins 9/e pg 230